Raised gastrin level without associated increase in acid secretion is seen in -
1. Carcinoma stomach
2. Gastrinoma
3. Pernicious anemia
4. G cell hyperplasia

Correct answer: 3. Pernicious anemia